Person dead due to anesthesia, lungs are kept in -
1. Nylon bag
2. PVC bag
3. Poltethylene bag
4. Polypropelene bag

Correct answer: 1. Nylon bag

Explanation: Lungs are preserved in nylon bag in anesthetic poisoning to prevent evaporation of volatile poisons. Dr. Narayana Reddys Synopsis of Forensic Medicine & Toxicology 27 th edition pg. 62.